Which of the following is a high ceiling diuretic ?
1. Furosemide
2. Spironolactone
3. Acetazolamide
4. Thiazide

Correct answer: 1. Furosemide

Explanation: Ans. is 'a' i.e., Furosemide o Loop diuretics are called high ceiling diuretics because, progressive increase in dose is matched by increasing diuresis, i.e. they have a high ceiling effect. o Furosamide is a loop diuretics.